Appendix of epidydimis is a remnant of
1. Mesonerphric duct
2. Paramesonephric duct
3. Mullerian duct
4. None

Correct answer: 1. Mesonerphric duct

Explanation: Inderbir Singh&;sHuman embryologyTenth editionPg 314The mesonephric ducts give rise toUreteric budsTrigone of urinary bladderEpididymisDuctus deferensSeminal vesiclesEjaculatory ductsAppendix of epididymis: This is a small rounded structure attached to the head of the epididymis.It represents the cranial end of the mesonephric ducts